Plasma Renin activity is lowered by which of the following group of drugs?
1. Calcium channel blockers
2. Alpha 2 agonists
3. ACE inhibitors
4. Arteriolar dilators

Correct answer: 2. Alpha 2 agonists

Explanation: Plasma renin activity is increased by beta 1 stimulation, ACE inhibitorsDecreased by aliskerin, remikerin, clonidine(central alpha 2 agonists)Ref: KD Tripathi 7th ed, p 500